Until the end of the 16th week, the placenta grows. At term, ratio of weight of fetus to weight of placenta is:
1. 3:01
2. 4:01
3. 6:01
4. 8:01

Correct answer: 3. 6:01

Explanation: Placenta at term is a circular disc with diameter 15-20 cm and thickness of 2.5 cm. Its weight is 500 gm. The proportion of weight of the fetus to the weight of the placenta is roughly 6:1 at term and occupies about 30% of the uterine wall. At term, about four-fifths of the placenta is of fetal origin. Ref: Textbook of Obstetrics by D C Dutta, 6th edition, Page 29.